mood stabilizer which is anti suicidal property is
1. lithum
2. carbamezepine
3. lamotrigine
4. valproate

Correct answer: 1. lithum

Explanation: - Lithium has a narrow therapeutic index - GIT == diarrhea, vomiting - NEUROLOGICAL=== tremor, co ordination - Therapeutic level is 0.8-1.2meq/l - HEMODIALYSIS is the TOC for lithium toxicity - OTHER USES - Anti- suicidal property, used to prevent suicide. - Correct drug induced neutropenia. Ref. kaplon and sadock synopsis of psychiatry, 11 th edition, pg no. 935